All of the following are strategies to prevent contrast nephropathy, except:
1. Intravenous Hydration
2. Use of High Osmolar Contrast Agents
3. Theophylline administration
4. Hemodialysis

Correct answer: 2. Use of High Osmolar Contrast Agents

Explanation: Answer is B (Use of High Osmolar Contrast Agents): Low Osmolar Contrast Media (LOCM) results in substantially less Contrast Induced Nephropathy (CIN) than High Osmolar Contrast Media (HOCM) in patients with preexisting renal dysfunction. The type of contrast medium used is an important risk factor for the development of contrast medium induced nephropathy with iso-osmolar contrast media (I0CM) and low-osmolar contrast media (LOCM) being less nephrotoxic than high-osmolar contrast agents in patients with pre-existing renal impairment. Therefore low-osmolar or iso-osmolar nonionic contrast media are recommended in high-risk patients to reduce the risk of contrast medium-induced nephropathy. Note: No benefit has been demonstrated in those without renal dysfunction. Although there is no proven decrease in CIN in normal populations, better tolerability and fewer side effects of LOCM have largely resulted in their supplanting HOCM in routine clinical practice.